All cause hyperprolactinemia except -
1. Metoclopromide
2. Haloperidol
3. Trifluoperazine
4. Lasix

Correct answer: 4. Lasix

Explanation: Ans. is 'd' i.e., Lasix Drug causing hvperprolactinemia and galactorrhea. o Phenothiazines (chlorpromazine) o alpha-methylodopa o Amitriptyline, amoxapine o Antiestrogen o Butyrophenones (haloperidol) o Reserpine o Fluoxetine o Metoclopramide o Opiates o Verapamil o Thioxanthenes o Cimetidine, ranitidine o Estrogen